Widening of C loop of duodenum is a feature of:
1. Pancreatic head growth
2. Carcinoma stomach
3. Splenic involvement
4. Involvement of upper renal pole

Correct answer: 1. Pancreatic head growth

Explanation: A i.e. Pancreatic Head Growth On barium meal, the loop of duodenum is widenedQ also k/a Pad Sign in cases of carcinoma head of pancreas.